Most common route of infection of Kidneys in T.B. is
1. Direct invasion
2. Hematogenous
3. Lymphatic
4. Ascending

Correct answer: 2. Hematogenous